Chemical regulation of respiration is not affected by?
1. pH
2. pCO2
3. pO2
4. BP

Correct answer: 4. BP

Explanation: Ans. is 'd' i.e., BP